Valve of Hasner
1. Opening of nasolacrimal duct
2. Sphenoidal sinus opening
3. Frontal sinus opening
4. Ethmoidal sinus opening

Correct answer: 1. Opening of nasolacrimal duct

Explanation: Ref BDC volume3,6th edition pg 76Nasolacrimal duct begins at the lower end of the lacrimal sac, runs downwards, backward and laterally and opens into the inferior meatus of the nose.A fold of mucous membrane called hasners valve forms an imperfect valve at the lower end of the duct.